Microalbuminemina is defined as protein level of
1. 100-150mg/dl
2. 151-200mg/d
3. 30-300mg/d
4. 301-600mg/d

Correct answer: 3. 30-300mg/d

Explanation: Refer Robbins page no Pg1120 The earliest manifestation of diabetic nephropathy is the apperacne of low amounts low amounts of albumin in the urine.. Greater than 30mg/day but less than 300 mg/day that is microalbuminuria